A 15 yrs old male patient presented with nasal mass reaching up to cheek causing unilateral nasal obstruction and intermittent epistaxis. What is the most likely diagnosis?
1. Juvenile nasal Angiofibroma
2. Nasal Polyp
3. Nasopharyngeal Carcinoma
4. Inverted Papilloma

Correct answer: 1. Juvenile nasal Angiofibroma

Explanation: Nasal polyps Relatively avascular - Doesn't bleed on touch (Unless infected) Usually confined to nasal cavity No extension to cheek Nasopharyngeal Carcinoma Common in Old age males Usually presents with neck node enlargement Can result in Nasal obstruction & epistaxis Inverted papilloma Usually common around 40 yrs of age Bleeds on touch (Not that frequent) Arises from lateral wall of nose JNAF Usually common in Adolescent males Profuse, unprovoked & purposeless bleed (Intermittent)- Recurrent & Spontaneous epistaxis Can cause nasal obstruction- Mass in postnasal space Extends to check- Broadening of nasal bridge, proptosis, swelling of cheek, infratemporal fossa or involvement of IInd, IIIrd, IVth and VIth cranial nerves will depend on the extent of tumour Adolescent male with profuse epistaxis & unilateral nasal obstruction implies JNAF as diagnosis